On postmortem examination, contusion of neck muscles is seen along with fracture of hyoid bone. The most probable cause of death is:
1. Smothering
2. Mugging
3. Burking
4. Throttling

Correct answer: 4. Throttling

Explanation: Ans. Throttling